Receptors for thyroid hormones are
1. G protein coupled receptors
2. Cytoplasmic receptors
3. Nuclear receptors
4. Tyrosine Kinase receptor

Correct answer: 3. Nuclear receptors